The most commonly implicated neurotransmitter in the etiology of schizophrenia is -
1. Norepinephrine
2. Serotonin
3. Dopamine
4. GABA

Correct answer: 3. Dopamine